K-F ring is seen in:
1. Wilson disease
2. Von Gierke disease
3. Phenylketonuria
4. Diabetes

Correct answer: 1. Wilson disease

Explanation: a. Wilson disease(Ref: Nelson's 20/e p 1939-1940, Ghai 8/e p 320-321)Wilson disease (hepatolenticular degeneration) is an autosomal recessive disorder characterized by degenerative changes in the brain, liver disease, and Kayser-Fleischer rings in the cornea.